A patient presented with weakness of the right side of the face. There is associated ipsilateral loss of pain and temperature of face and contralateral body. The lesion is most likely located at
1. Medial medulla
2. Lateral pons
3. Medial pons
4. Lateral medulla

Correct answer: 2. Lateral pons

Explanation: Lesion in pons leads to7th nerve palsyas 7th nerve nucleus is present in Pons leading to I/L facial weakness along impairment ofsensory part of 5th nerve(Present laterally in Pons) leading to I/L loss of sensations on face. As the pain and temp. sensation of left side (C/L) is also affected s/o oflesion to spino-thalamic tractwhich runs laterally. In case of lateral medullary syndrome or wallenburg syndrome, all the symptoms mentioned above will be present. Along with those, there will be impairment of VIII, IX, X and XI CN.